Von Gierke disease enzyme deficient
1. Glucose 6 phosphatase
2. Branching enzyme
3. Debranching enzyme
4. Phospharylase

Correct answer: 1. Glucose 6 phosphatase

Explanation: Repeated question